In-situ DNA nick end labeling can quantitate
1. Fraction of cells in apoptotic pathways
2. Fraction of cells in S phase
3. p53 gene product
4. bcr/abl gene

Correct answer: 1. Fraction of cells in apoptotic pathways

Explanation: In situ DNA nick end – labeling is an in-situ method for detecting areas of DNA which are nicked during apoptosis.
Terminal deoxynucleotidyl transferase mediated dUTP–biotin nick end labeling (TUNEL) is a method for detecting apoptotic cells that exhibit DNA fragmentation.